Which one of the following can be seen in Othello syndrome?
1. Delusion of persecution
2. Delusion of Grandeur
3. Delusion of Infidelity
4. Delusion of Doubles

Correct answer: 3. Delusion of Infidelity

Explanation: Othello Syndrome or Delusional jealousy is a psychiatric disorder in which a person holds a strong delusional belief that their spouse or sexual partner is being unfaithful without having any, very little, or insignificant proof to back up their claim. People who suffer from this disorder have a strong association with stalking, cyberstalking, sabotage, or even violence. It can be found in the context of schizophrenia and delusional disorder, such as bipolar disorder, but is also associated with alcoholism and sexual dysfunction and after neurological illness.